All of the following drug have been used for medical abortion except:
1. Mifepristone
2. Misoprostal
3. Methotrexate
4. Atosiban

Correct answer: 4. Atosiban

Explanation: Atosiban is an Oxytocin antagonist It has Tocolytic action so used for inhibition of preterm labor. Other options Mifepristone (RU 486) an Antiprogestin, degenerates the pregnancy in doses ranging from 100-600mg. This is followed by Misoprostal (prostagladin) in 400ug orally or 800ug vaginally which causes uterine contractions to expel the dead fetus. Methotrexate can be substituted for Mifepristone as the agent which degenerates the pregnancy.